M DG is to reduce MMR by -
1. 1\/2
2. 2\/3
3. 3\/4
4. 4\/5

Correct answer: 3. 3\/4

Explanation: Goal 5 :improve maternal mortality health target 5:reduce by 3 quarters between 1990 and 2015 Governments have set a date of 2015 by which they would meet the MDGs I.e, eradicate extreme poverty and hunger;achieve universal primary education;promotes gender equality;improve maternal health,ensure environmental sustainability and develop a global partnership for development (refer pgno:893 park 23rd edition)